Most appropriate management of Recurrent Keloid is?
1. Excisional surgery
2. Intramarginal excision followed by radiation
3. Cryosurgery
4. Silicone gel sheeting

Correct answer: 2. Intramarginal excision followed by radiation

Explanation: Treatment: Keloids rarely regress with time, often refractory to medical and surgical intervention First line treatment: silicone in combination with pressure therapy and intralesional corticosteroid injection Refractory cases (after 12 months of therapy): excision + post op radiotherapy (external beam or brachytherapy) New treatment modalities: internal cryotherapy and 5% imiquimod